A 72 year old white male complains of difficulty reading fine print and fatigue after prolonged reading. O/E multiple, Confluent soft drusen over the macula are present. Most probable diagnosis?
1. Cystoid macular edema
2. CSR
3. ARMD
4. Macular hole

Correct answer: 3. ARMD

Explanation: ARMD(age related macular degeneration)- Age-related macular degeneration (ARMD), also called senile macular degeneration, is a bilateral disease of persons of 59 years of age or older. It is a leading cause of blindness in developed countries, Clinical types 1)Non-exudative or Dry ARMD. responsible for 90 percent cases. causes mild to moderate, gradual loss of vision. Patients complain of distorted vision, difficulty in reading due to central shadowing. ' characterised by occurrence of drusens (colloid bodies), pale areas of retinal pigment epithelium atrophy and irregular or clustered pigmentation that appear as small discrete, yellowish-white, slightly elevated spots. In later stages, there occurs enlargement of the atrophic areas within which the larger choroidal vessels may become visible (geographic atrophy). 2) Exudative ARMD. It is also called wet or neovascular ARMD. responsible for only 10 percent cases of ARMD associated with comparatively rapidly progressive marked loss of vision. May eventually scar with or without intervention, treatment reduces extent of scarring and helps keep macula dry and preserve some vision Typically, the course of exudative ARMD rapidly passes through many stages. These include: Stage of drusen formation, Stage of retinal pigment epithelium (RPE) detachment, Stage of choroidal neovascularisation (CNV) Stage of haemorrhagic detachment of RPE, Stage of haemorrhagic detachment of neurosensory retina, and Stage of disciform (scarring) macular degeneration.